An 8 yr old boy presents with boggy swelling and easily pluckable hair, Diagnosis is
1. Tinea capitis
2. Alopecia areata
3. Tuberculorid leprosy
4. Pityriasis alba

Correct answer: 1. Tinea capitis

Explanation: A i.e. Tinea capitis